A neonate born before 259th day is
1. Preterm neonate
2. Early term neonate
3. Late term neonate
4. Postterm neonate

Correct answer: 1. Preterm neonate

Explanation: Term neonate: A neonate born any time after 37 completed weeks of gestation and up until 42 completed weeks of gestation (260 to 294 days).The American College of Obstetricians and Gynecologists (2013b) endorse and encourage specific gestational age designations. Early term refers to neonates born at 37 completed weeks up to 386/7 weeks. Full-term denotes those born at 39 completed weeks up to 406/7 weeks. Last, late-term describes neonates born at 41 completed weeks up to 416/7 weeks.Preterm neonate: A neonate born before 37 completed weeks (the 259th day).Postterm neonate: A neonate born anytime after completion of the 42nd week, beginning with day 295.Ref: Williams Obstetrics; 24th edition; Chapter 1; Page no: 55